Hyperbaric oxygen therapy is used in the treatment of all except?
1. Osteoradionecrosis
2. Sickle Cell Disease
3. Carbon monoxide poisoning
4. Decompression sickness

Correct answer: 2. Sickle Cell Disease

Explanation: Indications of HBO therapy are:-

Air or gas embolism
Carbon monoxide poisoning & Carbon monoxide poisoning complicated by cyanide poisoning
Clostridal myositis and myonecrosis (gas gangrene)
Crush injury, compartment syndrome, and other acute traumatic ischemias
Decompression sickness
Enhancement of healing in selected problem wounds
Exceptional blood loss ( Anemia)
Intracranial abscess
Necrotising soft tissue infections
Osteomyelitis (refractory)
Delayed radiation injury (soft tissue and bony necrosis)
Skin grafts and flaps (compromised)
Thermal burns